In rheumatoid arthritis the characteristic joint involvement is:
1. Spine
2. Knee
3. Metacarpophalangeal joint
4. Hip joint

Correct answer: 3. Metacarpophalangeal joint

Explanation: The hallmark feature of rheumatoid arthritis (RA) is persistent symmetric polyarthritis (synovitis) that affects the hands and feet, although any joint lined by a synovial membrane may be involved. In general, the small joints of the hands and feet are affected in a relatively symmetric distribution. In decreasing frequency, the metacarpophalangeal (MCP), wrist, proximal interphalangeal (PIP), knee, metatarsophalangeal (MTP), shoulder, ankle, cervical are involved.